Part of hypothalamus which is involved in sexual behavior:
1. Preoptic area
2. Supraoptic area
3. Hypothalamus
4. Posterior hypothalamus

Correct answer: 1. Preoptic area

Explanation: Ans. A. Preoptic areaThe most anterior (medial preoptic area is main) portions of the hypothalamus.Although most posterior nucleus also has some role.